Hampton hump is feature of?
1. Pulmonary tuberculosis
2. Pulmonary embolism
3. Pulmonary hemorrhage
4. Bronchogenic carcinoma

Correct answer: 2. Pulmonary embolism

Explanation: B i.e., Pulmonary embolism Pulmonary Thrombo - Embolism (PTE) Chest X Ray *. Normal/Near-normal in dyspneic patientQ Focal (localized peripheral) oligemia (westermark sign) Peripheral pleural based wedge shaped density above the diaphragm (Hampton's humpQ) Enlarged right descending pulmonary artery (Palla sign) Long curvilinear densities reaching pleural surface (Fleischner lines) Pleural effusion on left > right (Felson's sign) Peripheral air space opacification, linear atelectasis, enlargement of central pulmonary arteries, consolidation & cavitation.